Teratoma arises from :
1. Totipotent cells
2. Mesodermal cells
3. Ectodermal cells
4. Endodermal cells

Correct answer: 1. Totipotent cells

Explanation: Totipotent cells